A 6 year old boy has been complaining of headache, ignoring to see the objects on the side for 4 months. On Examination, he is not mentally retarded, his grades at school are good & visual acuity is diminished in both the eyes, visual charting showed significant field defect. CT scan of the head showed suprasellar mass with calcification. Which of the following is the most probable diagnosis?
1. Astrocytoma
2. Craniopharyngioma
3. Pituitary adenoma
4. Meningioma

Correct answer: 2. Craniopharyngioma

Explanation: B i.e. Craniopharyngioma